The operating temperature in an ethylene oxide sterilization during a warm cycle is -
1. 20-35 o C
2. 49-63 o C
3. 68-88 o C
4. 92-110 o C

Correct answer: 2. 49-63 o C

Explanation: Temperature between 49 & 63degC is used, which is comparatively a lower temperature. Used for articles that cannot withstand higher temperatures. REF:textbook of microbiology, Ananthanarayan and Paniker.